Which of the following local anaesthetic agent is a vasoconstrictor
1. Lignocaine
2. Cocaine
3. Bupivacaine
4. Tetracaine

Correct answer: 2. Cocaine

Explanation: Cocaine is sympathomimetic agent.